Which of the following is a holocrine gland:
1. Sweat gland
2. Breast
3. Pancrea
4. Sebaceous gland

Correct answer: 4. Sebaceous gland

Explanation: Sebaceous gland is a holocrine gland since the discharged secretion contains entire secreting cells. Sweat glands are of two types: Eccrine (merocrine) is more common in occurence as compared to apocrine variety. Breast (mammary gland) is modified sweat gland of apocrine variety. Another example for similar type is ceruminous (wax) gland in the ear. Pancreas is a mixed (exocrine & endocrine) gland. Exocrine secretory units are usually merocrine type.